Frame shift mutation DOESN'T occur in multiples of:
1. 2
2. 3
3. 4
4. 5

Correct answer: 2. 3

Explanation: Ans: (b) 3Ref: Harper's Biochemistry 30th edn. / 417-18* Frame-shift mutations* The genetic code is read in form of triplets of nucleotides which are known as codons.* If one or two base pairs from the code are removed or inserted, the genetic code will be misread from that change onwards, because the genetic code is not punctuated. Therefore the amino acid sequence translated from the change onwards will be completely changed. This is known as frame shift mutation.* However if the removal /insertion happens in multiples of three, rest of the reading frame doesn't change and hence the amino acid sequence will not change.